Cervical carcinoma arises from
1. Squamocolumnar junction
2. Isthmus
3. Cervical anterior lip
4. Internal os

Correct answer: 1. Squamocolumnar junction

Explanation: Carcinoma of cervix arise from the Squamocolumnar juction Vagina and Ectocervix are covered by stratified squamous epithelium and the endocervix is covered by columnar epithelium. The two meet at squamocolumnar junction which is dynamic. Reference : Textbook of Gynaecology; Sheila balakrishnan; 2nd edition; Pg no:257